Temperature in Flash method of Pasteurized -
1. 66-66degC
2. 72degC
3. 100degC
4. 125degC

Correct answer: 2. 72degC

Explanation: Ans. is 'b' i.e., 72degC* Pasteurization is done to destroy the pathogens in milk. It kills nearly 90% of bacteria in milk, including more heat resistant tubercular bacilli and Q-fever organism. However, thermoduric bacteria and spores are not killed.* There are following methods of pasteurization1) Holder method (Vat method)# Milk is kept at 63-66deg C for 30 minutes and then rapidly cooled to 5deg C.2) High temperature short time (HTST) method# It is also called Flash method. Milk is heated to 72deg C for 15 seconds and then rapidly cooled to 4deg C.# It is now the most widely used method.3) Ultra-high temperature (UHT) method# Milk is rapidly heated in two stages to 125deg C for few seconds, 2nd stage being under pressure. It is then rapidly cooled.